Sparrow marks are seen in -
1. Gunshot
2. Windshieldinjury
3. Drowning
4. None

Correct answer: 2. Windshieldinjury

Explanation: Ans. is 'b' i.e., Windshield injuryo Sparrow footmarks are multiple punctate lacerations on face, produced due to shattering of windscreen glass.Car (four-wheeler) injuriesSparrowfootmarks: Multiple punctate lacerations on face are produced due to shattering of windscreen glass into multiple small blunt edged fragments.Hinge fracture : Skull base fracture running along the petrous ridges through sella turcica, i.e. transverse fracture through middle cranial fossa.Ladder tears: Multiple transverse intimal tears in aorta, adjacent to main rupture.Seat belt syndrome: There are contusion, laceration, perforation and avulsions of small intestine, omenta, and mesenteries. There may be rupture of abdominal aorta, spleen, liver, pancreas, caecum; haematoma of lower abdomen; and fracture of lumbar vertebra.Whiplash injury : Acute hyperflexion followed by hyperextension of neck due to violent acceleration or deceleration force applied to (front seat) pessenger.Steering wheel impact type injury: It occurs due to sudden stop of car, throwing forward the driver; and throat may be crushed across top of steering wheel or horn ring.